Features of dysgerminoma are:
1. Unilateral
2. Post-menopausal
3. Virilising
4. Cut section gritty

Correct answer: 1. Unilateral